'Turkish saddle' refers to:
1. Pituitary gland
2. Amygdaloid body
3. Hypothalamus
4. Uncus

Correct answer: 1. Pituitary gland

Explanation: Ans. a. Pituitary gland